Immunoglobulin is used for all of the following diseases except:
1. Measles
2. Rabies
3. Typhoid
4. Chickenpox

Correct answer: 3. Typhoid

Explanation: Ans. C: Typhoid lmmunoglobulins are used in the prevention and treatment of the following diseases: Hepatitis A, B and non-A, non-B Rubella Varicella zoster Measles Rabies Tetanus Rh isoimmunization Chickenpox